Most common subtype of thyroid cancer is ?
1. Medullary carcinoma
2. Papillary carcinoma
3. Follicular carcinoma
4. Anaplastic carcinoma

Correct answer: 2. Papillary carcinoma

Explanation: Papillary Carcinoma is the most common subtype. It is 70-80% common. Common in females and younger age group. It is a slowly progressive and less aggressive tumor. Reference: SRB's Manual of Surgery, 6th Edition, page no= 468.